Post traumatic stress syndrome is due to -
1. Head injury
2. Cardiovascular Disease
3. Minor stress
4. Major life threatening events

Correct answer: 4. Major life threatening events

Explanation: REACTION TO STRESS AND ADJUSTMENT DISORDERS This category in ICD-10 consists of disorders which are temporally related to an exceptionally stressful life event ( acute stress reaction and post-traumatic stress disorder) or a significant life change (adjustment disorders) immediately before the onset of illness. Ref: A Short Textbook of Psychiatry, Niraj Ahuja, 7th Edition, pg. no.111